Most common manifestation of mumps in adult males -
1. Aseptic meningitis
2. Encephalitis
3. Orchitis
4. Sinusitis

Correct answer: 3. Orchitis

Explanation: Ans. is 'c' i. e., Orchitis o Orchiyid is the most common manifestation of mumps among postpubertal males